Which of the following is a histological featureof ' Whipple's disease-
1. Infiltration of histocytes in the lamina propria
2. Granuloma in the lamina
3. Macrophages with PAS (+) material inside the lamina propria
4. Eosinophils in the lamina propna

Correct answer: 3. Macrophages with PAS (+) material inside the lamina propria

Explanation: Davidson's principles and practice of medicine 22nd edition. #whipple's disease caused by tropheryma whipplei ,become resident within macrophage of bowel mucosa.Vili are widened containing macrophages in the lamina proprio which stains positive with PAD.